Reconstruction surgery in breast carcinoma, Best myocutaneous flap is
1. Pectoralis minor
2. Pectoralis major
3. Latissimus dorsi
4. Transverse rectus abdominis

Correct answer: 4. Transverse rectus abdominis

Explanation: D. i.e. (Transverse rectus abdominis) (1241 - CSDT 12th) (845 -B&L 25th) (737 - S. Das 5th)* Majority surgeons now prefer to use transverse rectus abdominis (TRAM-flap) - TRAM- flap reconstruction results in a soft natural and ptotic breast and avoids the need for additional prosthetic volume replacement. Excellent cosmetic results are achieved at the expanse of 5 -7 days hospital stay, a 4 to 6 weeks convalescent period and an overall complication rate of 16% to 28%BREAST - RECONSTRUCTION is new regarded as an integral part of breast cancer management and is requested with increasing frequency by informed women at the time of mastectomy* The easiest type of reconstruction is using a silicone gel implant under the pectoralis major muscle* The latissimus dorsi myocutaneous flap is used most often for reconstruction of breast with an implant* Abbey - Estlander flap used for lip* ** that may be used to correct a tight upper lip due to severe tissue deficiency (1238 - CSDT 12th)* Abbey estlendes flap is based on Labial artery*** Lingual nerve block is given in neck of mandible**